The immediate response of J receptor stimulation is
1. Tachycardia
2. Hypertension
3. Tachypnoea
4. Apnoea

Correct answer: 4. Apnoea

Explanation: The immediate reflex response of J receptor stimulation is apnea. It is followed by rapid breathing, bradycardia, and hypotension. Juxtacapillary receptors are the C fiber endings located close to the pulmonary vessels in the alveolar interstitium. They are not invloved in quiet or normal respiration,. They are stimulated by Hyperinflation of the lung Intravenous or intracardiac administration of chemicals like capsaicin P. Ref: Ganong's Review of Medical Physiology 26th edition Pgno: 642